Angel dust  is an example for
1. CNS stimulant
2. Hallucinogen
3. Date rape drug
4. CNS depressant

Correct answer: 2. Hallucinogen

Explanation: Angel dust is a street name for Phencyclidine which is a hallucinogen.
Other hallucinogens includes: LSD, MDMA, Ketamine.